Which of the following condition is associated with early complete fusion of all of the cranial sutures in a patient?
1. Apert syndrome
2. Chiari malformations
3. Craniospinal dysraphism
4. Osteosclerosis

Correct answer: 1. Apert syndrome

Explanation: Apert syndrome is an autosomal dominant condition characterized by pansynostosis. Clinically, patients have hypertelorism, midface hypoplasia, and shallow orbits in addition to their craniosynostosis. Symmetric syndactyly and short thumbs are also characteristic of Apert syndrome. Hydrocephalus is common in this condition. Ref: Cowan J.A., Thompson B. (2010). Chapter 36. Neurosurgery. In G.M. Doherty (Ed), CURRENT Diagnosis & Treatment: Surgery, 13e.